Medical management of kernicterus is :
1. Sulfonamide
2. Erythromycin
3. Phenobarbitone
4. Phenytoin

Correct answer: 3. Phenobarbitone

Explanation: Treatment for kernicterus may include :
Phototherapy for kernicterus :
Exposure to ultraviolet light breaksdown bilirubin in the bloodstream.
Exchange transfusion :
Removing blood that contains bilirubin, with blood that does not contain bilirubin.
Medications that reduce the amount of bilirubin in the bloodstream :
Albumin (albuminar, albutein, plasbumin)
Immune globulin intravenous
Phenobarbital.